65 yr old man presented with hemoptysis and grade III clubbing. The probable diagnosis of the patient is?
1. Non small cell lung Ca
2. Small cell cancer of lung
3. Tuberculosis
4. Sarcoidosis

Correct answer: 1. Non small cell lung Ca

Explanation: Answer- A. Non small cell lung CaHemoptysis in 65 year old along with grade III clubbing suggests Non small cell carcinoma lung.Clubbing in lung cancer is characteristically associated with Non small cell carcinoma lung.